39-year-old man feels a discomfort when moving his tongue, pharynx, and larynx. Physical examination indicates that muscles attached to styloid process are paralyzed. Which of the following groups of cranial nerves are damaged?
1. Glossopharyngeal, trigeminal, and vagus nerves
2. Hypoglossal, vagus and facial nerves
3. Facial, glossopharyngeal, and hypoglossal nerves
4. Vagus, spinal accessory, and hypoglossal nerves

Correct answer: 3. Facial, glossopharyngeal, and hypoglossal nerves

Explanation: Styloid process provides attachments for the stylohyoid, styloglossus, and stylopharyngeus muscles. Stylohyoid muscle is innervated by facial nerve, styloglossus muscle by hypoglossal nerve, and stylopharyngeus muscle by glossopharyngeal nerve. No other muscles are attached to the styloid process.